Which is NOT AIDS defining illness?
1. Oropharynx candidiasis
2. CMV retinitis
3. Primary CNS lymphoma
4. Kaposi's sarcoma

Correct answer: 1. Oropharynx candidiasis

Explanation: Ans. (a) Orpharynx candidiasis Candidiasis of bronchi, trachea, lung, oesophagus comes under AIDS defining criteria. Infections listed in the AIDS surveillance case definition Candidiasis of bronchi, trachea, lungs, oesophagus Coccidioidomycosis, disseminated or extrapulmonary Cryptococcosis, extrapulmonary Cryptosporidiosis, chronic, intestinal (> 1 month's duration) Cytomegalovirus disease (other than liver, spleen, or nodes) Cytomegalovirus retinitis (with loss of vision) Encephalopathy, HIV-related Herpes simplex: chronic ulcer(s) (> 1 month's duration); orbronchitis, pneumonia, or esophagitis Disseminated or extrapulmonary histoplasmosis Isosporiasts, chronic intestinal (> 1 month's duration) Mycobacterium avium complex or M.kansosil, disseminated or extrapulmonary Mycobacterium tuberculosis, any site (pulmonarya or extrapulmonary) Mycobacterium, other species or unidentitled species, disseminated or extrapulmonary. Pneumonocystis jiroved pneumonia Salmonella septicemia, recurrent Toxoplasmosis of brain Wasting syndrome due to HIV